The following is equivalent to rough endoplasmic reticulum in function:
1. Nissl bodies
2. Axon
3. Dendrites
4. All

Correct answer: 1. Nissl bodies

Explanation: Nissl bodies are the site of protein synthesis in a neuron They are equivalent to rough endoplasmic reticulum in function